Horner's syndrome is seen in all except
1. Carotid artery aneurysm
2. Medial medullary syndrome
3. Can occur following surgery for raynaud's Syndrome
4. Multiple sclerosis

Correct answer: 2. Medial medullary syndrome

Explanation: Horner syndrome, characterized by ptosis and miosis, is caused by compression of the ascending sympathetic supply within the carotid sheath and occurs in fewer than half of affected patients Extracranial dissection of the internal carotid artery causes cranial nerve palsy in 12% of cases It seems remarkable that multiple sclerosis does not commonly cause a Horner's syndrome for this syndrome is a manifestation of many different disease processes which affect the caudal brainstem and cervical spinal cord, as does multiple sclerosis Ref Harrison20th edition pg 2234